Erythema induratum can be a manifestation of:
1. Lepra reaction
2. Tuberculosis
3. Dermatitis
4. Psoriasis

Correct answer: 2. Tuberculosis

Explanation: Erythema induratum of Bazin/ Nodular tuberculid /Bazin disease - Erythematous nodules develop over posterior leg, usually ulcerates - Lobular panniculitis Erythema nodosum/ Facultative tuberculid -develop over anterior leg, which does not ulcerate ( differentiating point with Erythema induratum)